Kimmesteil wilson lesion is:
1. Hyaline arteriosclerosis
2. Nodular glomerulosclerosis
3. Renal Amyloid deposits
4. Renal Glycogen deposits

Correct answer: 2. Nodular glomerulosclerosis

Explanation: Ref: Robbins Pathologic Basis of Disease, 8th editionExplanation:Diabetic NephropathyThe term diabetic nephropathy is applied to the conglomerate of lesions that occur in the diabetic kidney.Most common lesions involve the glomeruli and are associated clinically with three glomerular syndromes:Non-nephrotic proteinuriaNephrotic syndromeChronic renal failureDiabetes also affects the arterioles (causing hvalinizing arteriolar sclerosis), increases susceptibility to the development of pyelonephritis and particularly papillary necrosis, and causes a variety of tubular lesions.The morphologic changes in the glomeruli includeCapillary basement membrane thickeningDiffuse mesangia] sclerosisNodular glomerulosclerosis (Kimme- Istiel-Wilson lesions).The morphology is identical in type 1 and type 2 diabetes.The Armanni-Ebstein change tor Armanni- Ebstein cells) consists of deposits of glycogen in the tubular epithelial cells (pars straight of proximal convoluted tubule and loop of Henle).